When water enters eyes, blurring of vision due to?
1. Elemination of refraction through cornea
2. Extra refraction through water
3. Impurities of water
4. Speed of light is more through water

Correct answer: 1. Elemination of refraction through cornea

Explanation: Elemination of refraction through cornea REF: The cornea: transactions of the World Congress on the Cornea III: Volume 1987 by H. Dwight Cavanagh page 175, The sensory physiology of aquatic mammals by Aleksandr Iakovlevich Supin, Vladimir V. Popov, Alla Mikha-lovna Mass page 232 "Corneal refractive power is substantial in air but virtually eliminated when the eye is under water" Under water, the divergent refraction by the cornea is small since the media on its both sides (water outside and anterior chamber liquid inside) have refractive indices not greatly different from that of the cornea itself